Which X ray is used to determine bone age in a 3 year old child?
1. Knee
2. Wrist
3. Shoulder
4. Ankle

Correct answer: 2. Wrist

Explanation: To determine the skeletal age in infants between 3 and 9 months age, X ray of shoulder is most useful. X ray of hand and wrist is most useful for children between 1 and 13 year age.